UMN includes:
1. Pyramidal cells
2. Peripheral nerves
3. Anterior horn cells
4. Glial Cells

Correct answer: 1. Pyramidal cells

Explanation: A i.e. Pyramidal cells